Which is a feature of Normal Pressure hydrocephalus -
1. Gait Disturbance
2. Aphasia
3. Global confusion
4. Opthalmoplegia

Correct answer: 1. Gait Disturbance